Which of the following is most useful for sex determination?
1. Skull
2. Femur
3. Pelvis
4. Tibia

Correct answer: 3. Pelvis

Explanation: Ans: C (Pelvis) Ref: The Essentials of Forensic Medicine and Toxicology by KS Moray an Reddy. 29th edition. 2010. Pg. 57-6/Explanation:According to Krogman theory, the degree of accuracy in sexing adult skeletal remains is:Entire Skeleton100 %Pelvis alone95 %Skull alone90 %Pelvis + Skull98 %Long bones alone80 %Some Important Difference Between Male and FemalePelvis (See Table-5)